Movement of stapes causes vibration in -
1. Scala media
2. Scala tympani
3. Scala vestibuli
4. Semicircular canal

Correct answer: 3. Scala vestibuli